Which is a nonabsorbable suture
1. Vicryl
2. Polypropylene
3. Catgut
4. PDS

Correct answer: 2. Polypropylene

Explanation: Absorbable suture materials are: plain catgut, chromic catgut, vicryl ( polyglactic acid),dexon(polyglycolic acid), maxon(polyglyconate), PDS( poly dioxanone suture material ), monocryl, biosyn.Non absorbable suture materials are silk, polypropylene (prolene), polyethylene, cotton, linen, steel, polyester, polyamide, nylon.Reference : page 1172 SRB's manual of surgery 5th edition